In Alzheimer’s disease, plaque is made up of:
1. Tau protein
2. Beta amyloid
3. Huntington
4. Alpha synuclein

Correct answer: 2. Beta amyloid

Explanation: (Refer: Robbins Pathologic Basis of Disease, 8thedition, pg no: 1313-1317)
Morphology of Alzheimer's disease

Cortical atrophy especially in frontal, temporal and parietallobes.
Compensatory ventricular enlargement due to loss ofparenchyma and reduced brain volume - (hydrocephalus exvacuo).
Structures involved early - medial temporal lobe, including hippocampus entorhinal cortex and amygdala.
Progressive severe neuronal loss and reactive gliosis